Which of the following is the best to reduce incidence of macrovascular complications in type 2 diabetes?
1. Strict BP control
2. HbA1C< 6.5%
3. Urine MICRAL
4. Fasting Capillary blood glucose values of <180mg%

Correct answer: 1. Strict BP control

Explanation: The UKPDS (United Kingdom Prospective Diabetes Study group) regarding prevention of macrovascular complications demonstrated that BP control is more significant than glycemic control in patients with type 2 Diabetes mellitus.